Best method to compare protein quality is:
1. Net protein utilization
2. Biological value
3. Specific dynamic action of protein
4. Presence or absence of essential amino acids

Correct answer: 1. Net protein utilization

Explanation: Ans: aRef: Park, 17th ed, p. 414 & 18th ed, p. 440